Increased urinary excretion of calcium is seen in which of the following condition/s?
1. Sarcoidosis
2. Glucocorticoid excess
3. Wilsons disease
4. All the above

Correct answer: 4. All the above

Explanation: Answer- D. All the aboveParathyroid hyperfunctionSarcoidosisPrimary cancers ofthe breast and bladderMetastatic malignanciesWilson's diseaseRenal tubular acidosisGlucocorticoid excessRespiratory disease